Which of the following type of ovarian tumor most frequently cause complications during pregnancy ?
1. Teratoma
2. Mucinous cystadenoma
3. Serous cystadenocarcinoma
4. Brenner's tumor

Correct answer: 1. Teratoma

Explanation: Complications associated with mature cystic teratoma are torsion, rupture, infection, hemolytic anemia and development of malignancy. Torsion and rupture of teratoma are more likely to occur during pregnancy.